Serum ca& fetoprotein level is elevated in
1. Dysgerminoma
2. Endodermal cell tumour
3. Immature teratoma
4. Choriocarcinoma

Correct answer: 2. Endodermal cell tumour